Which of the following is a functional enzyme?
1. LDH
2. Amylase
3. Prothrombin
4. Acid phosphatase

Correct answer: 3. Prothrombin

Explanation: ANSWER: (C) ProthrombinREF: Medical Biochemistry by Sheriff - Page 94 Prothrombin is a clotting factor and is a functional enzymeDifference between functional and non-functional enzymes Functional plasma enzymesNon-functional plasma enzymesConcentrationPresent in plasma in higher concentration than tissuePresent in plasma in very low concentration than tissueFunctionKnown functionNo known functionSubstrateSubstrate always present in bloodSubstrates are absent in bloodSite of synthesisLiverDifferent organs (brain, heart, liver, muscles)Effect of diseasesDecrease in liver diseaseIncrease in different organ diseasesExamplesClotting factors Lipoprotein lipase Pseudocholine esteraseALT, AST, LDH, CK Alkaline phosphatase Acid phosphatase Amylase